Brown color of contusion is due to -
1. Haematodin
2. Reduced hemoglobin
3. Haemosiderin
4. Bilirubin

Correct answer: 3. Haemosiderin

Explanation: Ans. is 'c' i.e., Haemosiderin Color change and age of bruise (Contusion!o After a bruise has appeared, it tends to get smaller from periphery to center and passes through a series of colour changes. These are due to disintegration of RBCs by hemolysis and breakdown of hemoglobin into the pigments haemosiderin, haematodin and bilirubin changes are: -At first: Red (oxyhemoglobin)Few hours to 3 days : blue (reduced hemoglobin)4th day : Bluish-black to brown (haemosiderin)5-6 days: Greenish (haematodin)7-12 days : Yellow (Bilirubin)2 weeks : Normal (absorption of pigment)